Most common site of metastasis for breast carcinoma is?
1. Lung
2. Liver
3. Brain
4. Bone

Correct answer: 4. Bone

Explanation: ANSWER: (D) BoneREF: Bailey & Love 25th edition page 839, Schwartz's Principles of Surgery 9th edition chapter 17 Vertebra is the most common site of metastatic breast carcinoma. In order of frequency the lumbar vertebrae, femur, thoracic vertebrae, rib and skull are affected and these deposits are generally osteolytic.Metastases may also commonly occur in the liver, lungs and brain and, occasionally, the adrenal glands and ovaries